All of the following statements about CSF leak are true, except:
1. Most common site of CSF leak is fovea ethmoidalis
2. Beta 2 transferrin estimation is highly specific for diagnosis
3. Fluorescin Dye can be used intrathecally for diagnosis of site of leak
4. MRI (Gadolinium chanced) Tl images are best for diagnosis of site of leak

Correct answer: 4. MRI (Gadolinium chanced) Tl images are best for diagnosis of site of leak

Explanation: High Resolution Fine Cut CT Scan (HRCT) is the best investigation of choice to identify the most likely site of Cerebrospinal fluid l(CSF) leak. A high resolution T2 - weighted MRI (Not Tl-weighted) may allow visualization of fluid within the sinuses but will allow identification of the site of leak only if the patient is leaking actively at the time of MRI. Thus MRI is not the best investigation.